Anti-alpha fodrin autoantibodies are seen in
1. Polymyositis
2. Crohn's disease
3. Sjogren's syndrome
4. Grave's disease

Correct answer: 3. Sjogren's syndrome

Explanation: The presence of anti-alpha-fodrin autoantibodies has been reported to be a highly specific and sensitive test for the diagnosis of Sjogren's syndrome (SjS). Anti-Ro/SSA, and anti-La/SSB autoantibodies are also seen in SjS. In polymyositis antisynthetase antibodies and anti Jo-1 antibodies are seen